Most common cause of CTEV DEFORMITY IS ?
1. Arthrogryposis multiplex congenita
2. Spina bifida
3. Idiopathic
4. Neural tube defect

Correct answer: 3. Idiopathic

Explanation: Aeitiology of CTEV can be - *idiopathic(majority)some of the theories proposed to the aetiology of idiopathic clubfoot : a)Mechanical theory - raised intrauterine pressure forces the foot against the wall of the uterus in position of the deformity b)ischaemic theory - ischemia of the calf muscles during intrauterine life, due to some unknown factor ,results in contracture,leading to foot deformities. c)genetic theory - some genetically related disturbance in the development of foot is held responsible for deformity *secondary clubfoot : a) paralytic disorder when there is a muscle imbalance as in polio ,spina bifida,myelodysplasia, Friedreich's ataxia b)ahogryposis multiplex congenita- disorder of defective development of muscles. Muscles are fibrotic & result in foot deformities ,&deformities at other joint. REF:Essential orthopedics ,Maheshwari,9th edition ,pg.no.211